Treatment of rheumatoid arthritis include:
1. Gold
2. Corticosteroids
3. Aspirin
4. All

Correct answer: 4. All

Explanation: Ans. d (All). (Ref. Harrison, Internal Medicine, 16th ed., 1974)DRUG TREATMENT OF RHEUMATOID ARTHRITIS#NSAIDS: - Aspirin - Coxibs #DMARD - Methotrexate (Best DMARD)- Gold - D- Penicillamine- Antimalarials - Sulfasalazine- Leflunamide (Inhibits T cell proliferation) - Glucocorticoid #Anticytokines - Etanercept (TNF Type II receptor blocker)- Infliximab (Monoclonal ab to TNF) - Adalimumab (Fully human abs to TNF)- Anakinra (IL - 1 receptor antagonist)#Immunosuppressive drugs - Azathioprine- Cyclosporine- CyclophosphamideThe 1987 Revised Criteria for the Classification of RA1.Guidelines for classificationa. Four of seven criteria are required to classify a patient as having rheumatoid arthritis (RA).b. Patients with two or more clinical diagnoses are not excluded.2.Criteriaa. Morning stiffness: Stiffness in and around the joints lasting 1 h before maximal improvement.b. Arthritis of three or more joint areas: At least three joint areas, observed by a physician simultaneously, have soft tissue swelling or joint effusions, not just bony overgrowth. The 14 possible joint areas involved are right or left proximal interphalangeal, metacarpophalangeal, wrist, elbow, knee, ankle, and metatar sophalangeal joints. c. Arthritis of hand joints: Arthritis of wrist, metacarpophalangeal joint, or proximal interphalangeal jointd. Symmetric arthritis: Simultaneous involvement of the same joint areas on both sides of the body.e. Rheumatoid nodules: Subcutaneous nodules over bony prominences, extensor surfaces, or juxtaarticular regions observed by a physician.f. Serum rheumatoid factor: Demonstration of abnormal amounts of serum rheumatoid factor by any method for which the result has been positive in less than 5% of normal control subjects.g. Radiographic changes: Typical changes of RA on posteroanterior hand and wrist radiographs that must include erosions or unequivocal bony decalcification localized in or most marked adjacent to the involved joints.